Sclera thinnest at ?
1. Limbus
2. Equator
3. Anterior to attachment of superior rectus
4. Posteiror to attachment of superior rectus

Correct answer: 4. Posteiror to attachment of superior rectus

Explanation: Ans. is 'd' i.e., Posterior to attachment of superior rectus The sclera is commonly known as "the white of the eye". Sclera is the tough, opaque tissue which forms the posterior five-sixth opaque part of the external fibrous tunic of eye ball (anterior one sixth is occupied by cornea). Anteriorly it is continuous with cornea and the ring where the two areas (sclera and cornea) join is called the limbus, i.e., limbus is sclerocorneal junction. Inner surface of sclera lies in contact with choroid with a potential suprachoroidal space in between. The sclera is a tough structure which protect the eyeball and maintains its shape. It also serves as an attachment for many extroocular muscles. The thickness of the sclera varies according to location : ? At the limbus, the sclera is 0.8 mm thick. Anterior to the rectus muscle insertions, it is 0.6 mm thick. Posterior to the rectus muscle insertions, it is 0.3 mm thick (Thinnest portion). At the equator, it is 0.5 to 0.8 mm thick. At the posterior pole, it is greatest than 1 mm thick.